Aggressive type of cutaneous T-cell Lymphoma is
1. Mycosis Fungoides
2. Sezzary syndrome
3. Reticulum cell sarcoma
4. Panniculitis

Correct answer: 2. Sezzary syndrome

Explanation: Mycosis Fungoides is indolent, and sezzarry syndrome is aggressive cutaneous T-cell Lymphoma.